Ankle reflex nerve root:
1. L4
2. L5
3. S1
4. S2

Correct answer: 3. S1

Explanation: Nerve Root Muscle group used for motor grading in ASIA system Reflex C5 Elbow flexion (Biceps, Brachialis) Biceps C6 Wrist extension (extensor carpi radialis longus and brevis) Brachioradialis C7 Elbow extensor (triceps) Triceps C8 Finger flexors (flexor digitorum profundus) L3 Knee extensor (quadriceps) (knee) S1 Ankle plantar flexors (gastrocnemius and soleus)/FHL (Flexor Hallucis Longus) ankle reflex